Nucleic acids absorb UV light maximally at the wavelength of
1. 260nm
2. 280 nm
3. 410 nm
4. 320 nm

Correct answer: 1. 260nm

Explanation: Nucleic acids absorb UV light maximally at the wavelength of 260 nm 260/280 ratio of pure DNA/RNA is in the range of 1.8 to 2. Amino acids absorb U.V light (not visible light)- colorless. Aromatic amino acids absorb U.V light at 250-290 nm (maximum absorption is at 280nm) because of conjugated double bonds.